All of the following are true about CA gall bladder except -
1. Adenocarcinoma is the most common type
2. Prognosis is generally poor
3. Gall stones is a common associated factor
4. Vibrio Cholerae Infection has shown an association

Correct answer: 4. Vibrio Cholerae Infection has shown an association

Explanation: Ans. is 'd' i.e., Vibrio Cholerae Infection has shown an association o Carcinoma of gall bladder are adenocarcinoma.o The most cammon sites of involvement are the fundus and the neck, about 20% involve the lateral wallso There are two growth patterns.i) Infiltrating-more commonii) Exophytico Important risk factors for gall bladder cancer are gallstones (most common risk factor)y obesity, female gender, old age, choledochal cyst, porcelain gallbladder, gall bladder polyps and chronic typhoid infection.